In which of the following autopsy techniques all the organs (Thoracic, cervical, abdominal, and pelvic organs) are removed "en masse," as one big organ block.
1. Letulle's method
2. Ghon's Method
3. Virchow's method
4. Rokitansky Method

Correct answer: 1. Letulle's method

Explanation: In Letulle's method thoracic, cervical, abdominal, and pelvic organs are removed "en masse," as one big organ block Autopsy Techniques: A) Letulle's method (En masse technique): 1) Thoracic, cervical, abdominal, and pelvic organs are removed together "en masse," as one big organ block. 2) The best technique to see relations amongst organs. 3) Preferred in infants so that congenital abnormalities in different organs can be seen in relation to each other 4 ) Disadvantage: difficult to handle large mass. The below image shows Letulle's technique where all the organs (Thoracic, cervical, abdominal, and pelvic) have been removed "en masse," as one big organ block. B)Ghon's method (en block): 1) Cervical, thoracic abdominal and pelvic organs are removed in separate blocks 2) Other than Letulle's method, this Ghon's method can also be used in Infants C) Virchow's method 1) Each and every organ is removed one by one. 2) Relations of organs are not preserved 3) Most commonly used technique (easier to perform) D) Rokitansky method 1) This method is characterized by in situ dissections (inside the body itself) 2) Good for infected bodies (prevents spreading of infection)